Rinne test is positive in:
1. CSOM
2. Normal individual
3. Otomycosis
4. Wax in ear

Correct answer: 2. Normal individual

Explanation: (b) Normal individual(Ref. Shambaugh, 6th ed., 181)Rinne is said to be positive when AC > BC.In normal ear air conduction is more than the bone conduction due to the transformer action of the middle ear.All the other options are conductive deafness conditions so BC > AC, i.e. Rinne will be negative.